The drug that causes fall in elderly patients with postural hypotension is:-
1. Metformin
2. Prazosin
3. Acarbose
4. Nor-adrenaline

Correct answer: 2. Prazosin

Explanation: The side effect postural hypotension AkA ''First Dose Hypotension" is observed with drug ending with zosin Prazosin, Terazosin, Doxazosin (d) Acarbose - Inhibition of intestinal absorption of carbohydrate. S/E - flatulence, abdominal discomfort, loose stool. These drugs cause blocking of a1receptors, leading tovasodilation, that can Cause Postural Hypotension. (a)Metformin -Antidiabetic drug which comes under the category of Biguanide. S/E - Abdominal Pain, Anorexia, bloating, nausea, metallic taste mild diarrhea & tiredness. Nor - adrenaline(Press or agent)- stimulates a1 and a2 adrenergic receptors to cause blood vessel contraction, thus increases peripheral vascular resistance and result in increase BP. It acts on b1 adrenergic receptors, causing increase In heart rate and cardiac output. S/E = Transient restlessness, headache, palpitations, Anxiety,tremor. Marked rise in BP leading to cerebral hemorrhage, ventricular tachycardia, angina, MI.